Alagille syndrome is
1. Bile duct paucity
2. IHBR dilation
3. PBC
4. PSC

Correct answer: 1. Bile duct paucity

Explanation: Alagille syndrome is an autosomal dominant genetic disorder affecting liver,heart,kidney,etc.Liver biopsy in Alagille syndrome shows too few bile ducts(bile duct paucity) or in some cases,the complete absence of bile ducts(biliary atresia).Bile duct paucity results in reduced absorption of fat & vitamins(A,D,E,K) which may lead to rickets/a failure to thrive in children.